Mummification is enhanced by ?
1. Moist and hot air
2. Moist and cool air
3. Dry and hot air
4. Dry and cool air

Correct answer: 3. Dry and hot air

Explanation: Ans. is 'c' i.e., Dry and hot air Mummification It is a modification of putrefaction, which occurs in the absence of moisture. That is when there is excess air and warmth but no moisture (humidity), i.e. hot dry and windy climate, mummification takes place in place of normal putrefaction. Thus mummification occurs in deserts, especially in summer and also in bodies buried in shallow grave in sandy soil. Mummification is characterized by dessication or drying of the dead body. There is drying, dehydration and shriveling of dead body. It proceeds from exterior to interior. Therefore first to be involved is skin, especially of exposed body parts like lips, nose tip, hands (fingers) and feet (toes). The skin is shrunken, contracted, dry, brittle, leathery, streched across bony prominences and rusty brown to black in color. Internal viscera also dry up, darken in color and blend with each other to form a single mass. Body emits smell like rotten cheese. Facial features and injuries are well preserved, thus identification of body and cause of death can be determined (like adipocere formation). Time required for mummification varies between 3 months - 2 years. If properly preserved, a mummified body can remain for years. Chronic arsenic or antimony poisoning or mummification. Medicolegal importance : (i) Identification of body (facial features are preserved), (ii) cause of death (injury marks are preserved), (iii) time since death can be estimated.